Which of the following statement is true regarding pyogenic liver abscess?
1. Diagnosis can be confirmed by serological test
2. Radiographic features are diagnostic
3. Usually a large and single abscess is seen in cases of direct spread
4. Systemic manifestations are uncommon

Correct answer: 3. Usually a large and single abscess is seen in cases of direct spread

Explanation: Ans. (c) Usually a large and single abscess is seen in cases of direct spread* Pyogenic Liver abscess - Serology is not useful* Radiographic Features are not diagnostic.* Systemic manifestations are common.* MC type is Solitary and Large abscess due to Direct spread from Cholecystitis, Empyema Chest and Perinephric Abscess or Subdiaphragmatic collection.